Varicella zoster virus belongs to which family of DNA viruses -
1. Poxviridae
2. Herpesviridae
3. Adenoviridae
4. Papovaviridae

Correct answer: 2. Herpesviridae

Explanation: Ans. is 'b' i.e., Herpesviridae DNA virusesPoxviridae :-Variola, vaccinia, cowpox, monkeypox, tanapox, mofluscum contagiosumHerpesviridae :- HSV-1, HSV-2, varicella-zoster, EBV, CMV. HTLV-1, RK-virusAdenoviride :- AdenovirusParvoviridae :-Parvovirus, Adenosatello virus, DensovirusPapovaviridae :-Papilloma virus (HPV), PotyomavirusHepadnaviridae :-Hepatitis-B vims